All of the following can be done in a case of pelvic fracture with pelvic hematoma and had not passed urine since trauma EXCEPT -
1. Pass indwelling urethral catheter
2. IV fluid infusion
3. IV pylography
4. Digital per rectal examination

Correct answer: 1. Pass indwelling urethral catheter